The axillary sheath is an extension of this fascia around the subclavian artery and brachial plexus. Fascia around nerve bundle of brachial plexus is derived from:
1. Prevertebral fascia
2. Pretracheal fascia
3. Investing layer
4. Superficial cervical fascia

Correct answer: 1. Prevertebral fascia

Explanation: The brachial plexus and the subclavian artery course between the anterior and middle scalene muscles, and as the nerve plexus and artery emerge from those muscles, they carry an extension of the prevertebral fascia along to form the axillary sheath. Ref: Morton D.A., Foreman K.B., Albertine K.H. (2011). Chapter 26. Triangles and Root of the Neck. In D.A. Morton, K.B. Foreman, K.H. Albertine (Eds), The Big Picture: Gross Anatomy.